Zinc deficiency is characterized by all except -
1. Poor vision
2. Diarrhoea
3. Dermatitis
4. Hypogonadism

Correct answer: 1. Poor vision

Explanation: Ans. is 'a' i.e., Poor vision Zinc deficiencyo Important clinical features of zinc deficiency are :-# Dwarfism (growth retardation)# Diarrhea# Dermatitis# Hepatosplenomegaly# Iron deficiency anemia# Acrodermatitis enteropathica# Decreased immunocompetance# Poor wound healing# Hyperpigmentation# Hypogonadism# Perioralrash# Loss of hair and taste alterations may also be seen.# Dose for treatment of zinc deficiency is 10 mg/day for 14 days for infant 2-6 months of age and 20 mg/day for 14days for older than 6 months.